A child with recurrent muscle cramps and spams On analysis there is hypokalemia , metabolic alkalosis , hypocalciuria but increased urinary magnesium . What is the most probable diagnosis ?
1. Bartter syndrome
2. Gittelman syndrome
3. Liddle syndrome
4. None of the above

Correct answer: 2. Gittelman syndrome

Explanation: Gittelman syndrome  :
Defect in Na-Cl co-transporter.
Hypokalemic metabolic alkalosis.
Hypocalciuria - No stones in urine.
Hypomagnesemia due to ↑ urinary magnesium.